All are Markers of bone formation except
1. Osteocalcin
2. Alkaline phosphatase
3. Procollagen residue
4. Hydroxyproline

Correct answer: 4. Hydroxyproline

Explanation: Osteocalcin,Alkaline phosphatase & Procollagen residue are Markers of bone formation. Refer robbins 9/e p774